All are management of PDPH except-
1. Analgesic + caffeine
2. Intravenous / out fluids
3. Upright portion
4. Stool softners

Correct answer: 3. Upright portion

Explanation: Conservative treatment involves i. Analgesic + caffeine ii. Fluids iii. Supine position iv. Stool softener decreases valsalva straining